Multiple drug resistance of bacteria depends on which of the following:
1. Resistance transfer factor (RTF)
2. Colicigenic factor (Col)
3. Fertility factor (F +)
4. All of the above

Correct answer: 1. Resistance transfer factor (RTF)